Infliximab is:
1. IgG1 chimeric monoclonal antibody against TNF a
2. IgG1 fully human monoclonal antibody against TNF a
3. IgG4 chimeric monoclonal antibody against TNF a
4. P75 TNF receptor fusion protein

Correct answer: 1. IgG1 chimeric monoclonal antibody against TNF a

Explanation: Infliximab: It is a chimeric monoclonal antibody which binds and neutralizes TNF-alpha dose- 3-5 mg/kg is infused i.v. every weeks. An acute reaction comprising of fever, chills, Urticaria, bronchospasm, rarely anaphylaxis may follow infusion. Susceptibility to respiratory infections is Increased and worsening of CHF has been noted. It is initially combined with Mtx which improves the response decreases antibody formation against infliximab. REF KD TRIpathi 8th ed